Which of the following is transmitted by rat urine ?
1. Leptospira
2. Listeria
3. Legionella
4. Mycoplasma

Correct answer: 1. Leptospira